Which amino acid does not take part in transamination
1. Proline
2. Alanine
3. Tryptophan
4. Histidine

Correct answer: 1. Proline

Explanation: All amino acids can take part in transamination except:
a) Threonine b) Lysine c) Proline